Thyroid carcinoma with pulsating vascular, skeletal metastasis is
1. Follicular
2. Anaplastic
3. Medullary
4. Papillary

Correct answer: 1. Follicular